Complications of "reflux esophagitis"
1. Stricture
2. Schatzki's ring
3. Barrett's esophagus
4. All of above

Correct answer: 4. All of above